Which of the following renal pathology is present in a child who developed nephrotic syndrome after hepatitis B infection?
1. Focal segmental glomerulosclerosis
2. Membranous nephropathy
3. IgA nephropathy
4. Membranoproliferative glomerulonephritis

Correct answer: 2. Membranous nephropathy

Explanation: - Membranous nephropathy: *Deposition of immune complexes on the GBM with thickening of GBM. * In children it is a rare cause of nephrotic syndrome. * Classified as: Idiopathic and secondary * MC etiologies of secondary form are: Chronic infections- hepatitis B infection Drugs ( penicillamine, NSAIDs , gold ) Parasitic diseases (eg, malaria, schistosomiasis, leishmaniasis) SLE C/F: Pt. typically presents with edema and nephrotic-range proteinuria and microscopic hematuria and hypertension.